Dupuytren's contracture following is true except
1. Autosomal recessive inheritance
2. Alcoholic cirrhosis may predispose
3. More common in male than female
4. The ring finger is most commonly affected

Correct answer: 1. Autosomal recessive inheritance

Explanation: Dupuytren's contracture (contracture of palmar aponeurosis)a. It is characterized by flexion deformity of one or more fingers due to the thickening and shortening of the palmerb. aponeurosis.c. Etiology:i. Unknownii. Hereditary predispositioniii. Cirrhosis of liveriv. Epileptic patients on phenytoind. The fingers are drawn in flexion at MCP and PIP joints.e. The ring finger is most commonly affected.f. The contracture is usually limited to the medial three fingers.g. Peyronie's disease and planter fascia thickening are also known associations.h. An elderly with mild contracture does not need any Rx.i. If the deformity is severe and hampers routine activity, subtotal excision of palmar aponeurosis may be required.j. Evidence also points to heredity as a predisposing factor in Dupuytren's disease. The lesion seems to occur earlier and more frequently in some families, and James suggested an autosomal dominant pattern. Vascular insufficiency and cigarette smoking have been linked to Dupuytren disease as possible causative factors .